All of the following statements are true regarding central nervous system infections, except-
1. Measles virus is the causative agent for subacute sclerosing pan encephalitis (SSPE)
2. Cytomegalo virus causes bilateral temporal lobe hemorrahagic infarction
3. Prions infection causes spongiform encephalopathy
4. JC virus is causative agent for progressive multifocal leucoencephalopathy

Correct answer: 2. Cytomegalo virus causes bilateral temporal lobe hemorrahagic infarction